What is incidence of emergence delirium after ketamine anaesthesia-
1. 5% to 30 %
2. 30 % to 55 %
3. 55 % to 70 %
4. 100%

Correct answer: 1. 5% to 30 %

Explanation: The observed incidence of emergence delirium after ketamine ranges from 5% to 30 %.